In the management of leprosy, Lepromin test is most useful for:
1. Herd immunity
2. Prognosis
3. Treatment
4. Epidemiological investigations

Correct answer: 2. Prognosis

Explanation: Ans. is 'b' i.e., PrognosisLepromin test: It is an intradermal test with biphasic response and demonstrates the delayed type of hypersensitivity.(a) Early reaction of Fernandez: It occurs in 24-48 hours.(b) Late reaction of Mistuda: It peaks in 4 weeks and is more meaningful. It indicates that a person is able to mount cell mediated immunity against leprosy.It is used to:(a) Classify the lesion of leprosy.(b) To assess prognosis and response to treatment.(c) To assess resistance of individual to leprosy.Antigen used in Lepromin test:(a) Lepromin A: It is standard lepromin from armadillo derived lepra bacilli.(b) Lepromin H: Human derived lepra bacilli.